Subpubic angle is :
1. <65deg
2. 65-75deg
3. 85deg
4. 110-120deg

Correct answer: 3. 85deg

Explanation: 85deg